NARP syndrome a disorder of -
1. Lysosome
2. Mitochondria
3. Nucleus
4. Cytosol

Correct answer: 2. Mitochondria

Explanation: Ans. is 'b' i.e.. Mitochondria NARP syndromeo Mutation in Mitochondrial enzyme defect (ATPase).o Characterized by -N-Sensory neuropathyA-AtaxiaR-Retinitis pigmentosaP-Proximal weakness